Reversible myocardial stunning with ecg changes of acute myocardial infarction  is seen in
1. Restrictive cardiomyopathy
2. Hypertrophic cardiomyopathy
3. Takatsubo cardiomyopathy
4. Dilated  cardiomyopathy

Correct answer: 3. Takatsubo cardiomyopathy

Explanation: Takatsubo cardiomyopathy is stress induced infundibular spasm resulting in LV hypokinesia . ECG shows ST elevation